Triple test of Down's syndrome includes following except-
1. HCG
2. Inhibin
3. MS AFP
4. UE3

Correct answer: 2. Inhibin

Explanation: Ans. is 'b' i.e., Inhibin o Following are the tests in the identification of Down's syndrome fetus in pregnant women: # Triple test including MS AFP, UE3, total hCG # Quadruple test including MSAFP UE3, total hCG & Inhibin A